Increased suicidal tendency is associated with alteration in the brain levels of:
1. Noradrenaline
2. Serotonin
3. Dopamine
4. GABA

Correct answer: 2. Serotonin

Explanation: Ans. (B) Serotonin(Ref: KDT 8/e p188)Decreased serotonin levels in brain is associated with depression (and suicidal tendencies) whereas elevated levels of 5-HT are associated with anxiety.